All are used for monitoring of air pollution except-
1. Haze coefficient
2. Air pollution index
3. Smoke index
4. Kanawati index

Correct answer: 4. Kanawati index

Explanation: Ans. is 'd' i.e., Kanawati index Monitoring of air pollutiono Monitoring of air pollution is done by : -Sulphur dioxide.Gritt and dust measurement.Co-efficient of haze.Air pollution index.Smoke or soiling index